Cytoprotective drug in peptic ulcer is -
1. Omeprazole
2. Ranitidine
3. Magnesium hydroxide
4. Sucralfate

Correct answer: 4. Sucralfate

Explanation: Davidson's principles and practice of medicine 22nd edition. *it is ulcer protective polymerase at pH less than 4 assuming a sticky cell like consistency. It acts as a physical barrier preventing acid,peptin and bile from coming in contact with ulcer base.